What is not seen in Reiters syndrome:
1. Subcutaneous nodules
2. Keratoderma blennorrhagicum
3. Circinate balanitis
4. Oral ulcers

Correct answer: 1. Subcutaneous nodules

Explanation: Answer is A (Subcutaneous Nodules): Subcutaneous nodules are not a feature of Reactive Ahis/Reiter's syndrome. Oral ulcers, circinate balanitis and keratoderma blennorrhagicum are characteristic mucocutaneous manifestations of Reactive arthritis.